All of the following are true about paranoid schizophrenia except -
1. Most common type of schizophrenia
2. Onset in 3rd / 4th decade
3. Delusions of grandeur
4. Rapid deterioration of personality

Correct answer: 4. Rapid deterioration of personality

Explanation: Paranoid schizophrenia is the commonest type of schizophrenia in clinical practice. The onset is later (3rd - 4th decade). The core symptoms are delusions of persecution. Other types of delusions (grandeur, reference, control, infidelity, double) and hallucinations may also occur. There is minimal or no disturbance of affect, volition, speech, motor behavior, and personality.